A 70-year-old man has had a long-term "bowlegged" condition but recently his right knee has become warm, swollen, and tender. He reports no recent trauma and gets no relief with rest or Tylenol (paracetamol). He is otherwise in good health and takes no medication. X-rays show arthritis of the knee. Which would be the best treatment?
1. Bed rest, anti-inflammatory agents, analgesics, and a knee brace
2. Use of a cane for ambulating, restriction of knee-bending activities, and implementation of muscle-strengthening exercises
3. Intra-articular steroid injection, bed rest, and analgesics
4. Long-leg cast and crutches for 3 weeks, analgesics, and anti-inflammatory agents

Correct answer: 2. Use of a cane for ambulating, restriction of knee-bending activities, and implementation of muscle-strengthening exercises

Explanation: Acute synovial reactions of weight-bearing joints with underlying arthritis are a common occurrence. It is usually related to minor traumatic events. Complete immobilization may increase joint stiffness secondary to arthritis, but partial reduction of stressful motions (avoiding kneeling and squatting) and continued muscle activity would be beneficial. These will allow the synovial reaction to subside while decreasing the weakening and stiffness caused by the underlying arthritis.